Transitional epithelium is seen in -
1. Esophagus
2. Vagina
3. Urinary bladder
4. Trachea

Correct answer: 3. Urinary bladder

Explanation: Ans. 'c' i.e., Urinary bladder o Transitional epithelium is a multilayered stretchable epithelium which has extra reserve of cells.Type of epitheliumTissue or organSimple squamousLung alveoliMesothelium lining serous surfacesEndocardium and endotheliumLoop of henle in nephronKeratinized stratified squamousEpidermis of skinDuct of sebaceous glandNon keratinized stratified squamousTongue, tonsil, pharynx, esophagusCorneaVaginaSimple columnar epithelium (without cilia and microvilli)Lining of stomach and large intestine Cervical canalColumnar epithelium with striated border (regularly arranged microvilli)Lining of small intestineColumnar epithelium with brush border (Irregularly placed microvilli)Gall bladderCiliated columnar epithelium (cilia on surface for propulsion of fluid)Uterus and fallopian tubesEustachian tubeCentral canal of spinal cord and ventricles of brainRespiratory epitheliumSecretory columnar epithelium (with goblet cells)Stomach and intestines Trachea and bronchiPseudostrati fled columnar epitheliumOlfactory epitheliumTracheaEustachian tubeVas + deferensUrethraCuboidal epitheliumDucts of glandsThyroid folliclesOvarian surface epitheliumTransitional epithelium (Urothelium)Renal pelvis, calyces, ureter, urinary bladder and part of urethra